Due to a measles outbreak within a community, a 7 month old male child was vaccinated for measles. what should be done next when the child comes for routine immunization?
1. Give a second dose after 6 weeks.
2. Give a second dose as soon as he reaches 9 months of age.
3. Give the second dose of measles at 16 months of age
4. Give the second dose of measles at 12 months of age.

Correct answer: 2. Give a second dose as soon as he reaches 9 months of age.

Explanation: Vaccine can be given to a child between 6-9 months old during measles epidemic as till 6 months maternal antibodies provide immunity. For infants immunized during epidemic, a second dose should be administered as soon as possible after the child reaches the age of 9 months provided that at least 4 weeks have elapsed since the last dose